A 18-month-old boy is brought by parents to his family physician with a 2-day history of fever, irritability, and frequent tugging of his left ear. The physician diagnoses acute otitis media and treated with antibiotics. In follow-up 2 months later, otoscopic examination, air-fluid levels are seen in the left ear. Medical management is failed to resolve the effusion. Treatment of choice in this child is:
1. Conservative
2. Tympanoplasty
3. Myringotomy with ventilation tube insertion
4. Myringotomy with diode laser

Correct answer: 3. Myringotomy with ventilation tube insertion

Explanation: Surgical measures of serous otitis media: Myringotomy and aspiration of fluids Grommet insertion Tympanotomy or cortical mastoidectomy Surgical treatment of causative factor